Which is true hermaphroditism?
1. 45 X0
2. 45X0/46
3. 46XX/46XY
4. 47XY/47XX

Correct answer: 3. 46XX/46XY

Explanation: Ref. The Short Textbook of Pediatrics. Pg 749
 
Hermaphroditism
True’ hermaphroditism is a genetic condition in which affected individuals have both mature ovarian and testicular tissue. The entity is due to chromosomal and genetic cause .
Both the testis and the ovarian tissue are present in an individual and in different combinations .

Ovotestis on each side (commonest)
Testis on one side ,ovary on other  .
Testis or ovary on one side and ovotestis on the other .
It is probable that fertilisation by a sperm carrying one X chromosome , which contains some male determinant material from Y gives rise to this condition .
The common presentation is ambiguity of external genitalia .
The internal structure depends on the degree of differentiation of associated gonad on that side .
75% develop gynecomastia and nearly 50% menstruate

INVESTIGATIONS :

Sex chromatin is usually positive
Karyotype is usually 46 XX(70%) ,rest are 46 XY and rarely mosaic XX/XY
Confirmation is done by gonadal biopsy